The structure involved in bacterial attachment to
cell surfaces is
1. Capsule
2. Fimbria
3. Flagella
4. None of the above

Correct answer: 2. Fimbria